Features of membarous urethral injury
1. Blood at meatus
2. Extravasation of urine
3. Retention of urine
4. All of the above

Correct answer: 4. All of the above

Explanation: Injury of membranous urethra is usually associated with pelvic fractures d/t A. Its clinical features include blood in external meatus, failure or difficulty in passing urine, extravasation of urine to scrotum, perineum, abdominal wall.